Which of the about the composition of new ORS is wrong?
1. NaCl-2.6 grams\/litre
2. KCI - 1.5grams \/litre
3. Glucose - 13.5 grams\/litre
4. Total osmolarity - 300 mmol\/1

Correct answer: 4. Total osmolarity - 300 mmol\/1

Explanation: Total osmolarity is 245 mmol/litre. Reference:Park's textbook of preventive and social medicine,K.Park,23rd edition,page no:224.